Synergism blockage with neuromuscular blockage is?
1. Vancomycin
2. Tobramycin
3. Erythromycin
4. Amoxycillin

Correct answer: 2. Tobramycin

Explanation: Ans. is'b'i.e., TobramycinSome antibiotics potentiate neuromuscular block caused by competitive (non-depolarizing) blockers.Eg:Aminoglycosides (e.g. tobramycin)TetracyclinesPolypeptide antibioticsClindamycinLincomycin